Most common type of emphysema clinically is:
1. Panacinar
2. Centriacinar
3. Paraseptal
4. Segmental

Correct answer: 2. Centriacinar

Explanation: Centriacinar emphysema It is most common type of emphysema seen clinically. It involves central part of acinus with sparing of alveoli. Seen in smokers . Upper Lobes of lung are affected Due to the destruction of alveolar walls, a lack of elastic recoil causes air to become trapped in alveoli, and, thus, airflow obstruction occurs on expiration. -Histology Image of Centriacinar emphysema showing fragmented and free floating alveolar septae